Hot flashes in prostate cancer are seen after treatment with:a) Surgical castrationb) Androgen receptor blockerc) Radical prostatectomyd) Estrogen and Cyproterone acetate
1. ab
2. a
3. ad
4. bc

Correct answer: 1. ab

Explanation: Hot flashes are side effects of androgen ablation, whether surgical or medical. Estrogens and Cyproterone acetate are used in the treatment of Hot flashes.
Hot flashes are described as a subjective feeling of warmth in the upper torso and head followed by perspiration.
Following drugs are used tit of hot flashes:
-Transdermal estradiol or Diethylstilbestrol (DES)
- Oral progestogens, eg, megestrol acetate
- Cyproterone acetate
- Clonidine
- Sertraline
- Venlafaxine